In primary health care, ABC and VED are related to
1. National program evaluation at PHC level
2. Drug inventory management at PHC
3. Staff management at PHC
4. Vaccination coverage assessment in PHC area

Correct answer: 2. Drug inventory management at PHC

Explanation: Of all the inventory control systems ABC and VED matrix is most suitable for medical stores. Hence the coupling of ABC and VED matrix for drug inventory in a hospital.ABC analysis is popularly known as "Always Better Control" is a very useful approach to material management based on Pareto's principle of "Vital few and trivial many" based on the capital investment of the item. According to Pareto's theory O10% items consume about 70 % of the budget (Group A). OThe next 20% consume 20 % of financial resources (Group B) andOremaining 70 % items account for just 10% of the budget (Group C). VED analysis is based on the criticality of an item. ORT"V" is for vital items without which a hospital cannot function, ORT"E" for essential items without which an institution can function but may affect the quality of the services andO"D" stands for desirable items, unavailability of which will not interfere with functioning.(Refer: style="font-family:Cambria;font-size:13px;"> and Immunization Handbook for medical officers)